Differential cyanosis occurs in
1. PDA
2. TGA
3. Tricuspid stenosis
4. VSD

Correct answer: 1. PDA

Explanation: Differential cyanosis is present when the preductal (right upper extremity) oxygen saturation is higher than the postductal(lower extremity) saturation.ETIOLOGY:- PDA with reversal of shunt.- Persistent pulmonary hypertension of the newborn.Reverse differential cyanosis:In this condition only the upper part of the body is cyanosed and the lower part is pink.ETIOLOGY:PDA +TGV+severe pulmonary hypertensionPDA+TGV+preductal coarctation of the aorta